Which of the following statement about NSAIDs is false
1. The interfere with the antihypertensive effect of diuretics
2. NSAIDs Should be avoided in renal disease as a can cause nephrotoxicity
3. NSAIDs are useful in neuropathic pain
4. Many NSAIDs can be used topically

Correct answer: 3. NSAIDs are useful in neuropathic pain

Explanation: All NSAIDs can cause nephrotoxicity and hepatotoxicity NSAIDs Are infective in neuropathic pain NSAIDs blunt the antihypertensive effects of diuretics and ACE inhibitors Diclofenac, Ibuprofen , piroxicam etc and available as topical NSAIDs preparations